Which of the following carries the least risk of Metabolic side effects
1. Risperidone
2. Olanzapine
3. Ziprasidone
4. Clozapine

Correct answer: 3. Ziprasidone

Explanation: Ziprasidone, Aripiprazole & Asenapine carries negligible risk of metabolic side effects like weight gain, hyperlipidemia.